Lambert Eaton myasthenic syndrome is
1. A post synaptic disorder
2. Characterized by preserved deep tendon reflexes
3. Characterized by decremental response in ENMG
4. Associated with autonomic dysfunction

Correct answer: 4. Associated with autonomic dysfunction